Which of the following is NOT seen in DNA:
1. Cytosine
2. Adenine
3. Guanine
4. Uracil

Correct answer: 4. Uracil

Explanation: Ans. (d) Uracil* Uracil is present in RNA.* Nitrogen base pairs present in RNA: Adenine, Guanine, Uracil, CytosineStructure of DNA* Double helix, right handed, anti-parallel to each other* Two strands of DNA are held together with help of hydrogen bonds# 2 hydrogen bonds between A = T# 3 hydrogen bonds between G = C* 6 types of DNA have been described: A, B, C, D, E, Z# Z is left handedImportant differences between DNA types:Types of DNANo. of base pairs per turnsPhysical characterOrientationA-DNA11Short and broadRight handedB-DNA (MC form)10.5Long and thinRight handedZ-DNA12Elongated and thinLeft handed